Trabeculectomy for glaucoma leads to formation of a channel between-
1. Subconjuntival space and anterior chamber
2. Anterior chamber and Posterior chamber
3. Subconjunctival space and posterior chamber
4. None of the above

Correct answer: 1. Subconjuntival space and anterior chamber

Explanation: Ans. is 'a' i.e., Subconjuntival space and anterior chamber * Trabeculectomy is a surgical procedure used in the treatment of glaucoma to relieve intraocular pressure by removing part of the eye's trabecular meshwork and adjacent structures.* It is the most common glaucoma surgery performed and allows drainage of aqueous humor from the anterior chamber to underneath the conjunctiva where it is absorbed.